In G6PD deficiency, which cells are more prone for hemolysis:
1. Older red cells
2. Young red cells
3. Reticulocytes
4. All are susceptible

Correct answer: 1. Older red cells

Explanation: - Mature red cells do not synthesize new proteins - Hence, as red cells ages G6PD enzyme levels fall quickly & becomes inadequate to protect against oxidant stress. - Thus, older red cells are much more prone to hemolysis than younger ones.